From which of the following layers the regeneration of endometrium take place :
1. Zona basalis
2. Zona pellucidum
3. Zona compacta
4. Zona spongiosum

Correct answer: 1. Zona basalis

Explanation: Zona basalis Endometrium Superficial layer (2/3) Deep layer (1/3) It consists of stratum compactum stratum spongiosum These Layers are supplied by sprial which undergo vasocostriction during secretory phase | This causes necrosis or sloughing of these layers at the time of menstruation Stratum basale (Zona basalis) it is supplied by basllar arteries | During secretory phase these basilar arteries remain straight, so the blood supply stratum basale remains intact. Therefore this layer is not shed and during secretory phase it causes the regeneration.